Which one of the following is not true regarding Glassgow coma scale?
1. Scores from 3 - 15
2. Motor response has a maximum of 6 points
3. Eye opening has a maximum of 4 points
4. None of the above

Correct answer: 4. None of the above

Explanation: Glasgow coma scale is used to determine the consciousness level and is a good prognosis indicator. Head Injury Classification / Glascow Coma Scale: Head Injury Type GCS score Severe Head Injury 8 or less Moderate Head Injury 9 to 12 Mild Head Injury 13 to 15 Coma 3 - 8